Which of the following sites is responsible for the amnestic defect in Wernicke's Korsakoff syndrome:
1. Mamillary body
2. Thalamus
3. Periventricular Grey matter
4. Hippocampus

Correct answer: 2. Thalamus

Explanation: Answer is B (Thalamus): The Amnestic effect in Wernicke's Korsakoff Syndrome is related to lesions in the dorso-medial nuclei of the thalamus. `Lesions in the dorsomedial nucleus of the thalamus seem to be the best correlate of the memory disturbance and confabulation' - Robbins